Shakir tape is used for-
1. Measurement of height
2. Measurement of length of infant
3. Measurement of midarm circumferance
4. Measurement of the learning ability of child

Correct answer: 3. Measurement of midarm circumferance

Explanation: Ans. is 'c' i.e., Measurement of midarm circumferance